Molecular mass of IgG (in K D
1. 150
2. 400
3. 1000
4. 1500

Correct answer: 1. 150

Explanation: Ans. is 'a' i.e., 150Physical, chemical, and Biologic Properties of Human ImmunoglobulinsPropertyIgGIgAIgMIgDIgEUsual molecular formMonomerMonomer, dimerPentamer, hexamerMonomerMonomerOther chainsNoneJ chain, SCJ chainNoneNoneSubclassesG1, G2, G3, G4Al, A2NoneNoneNoneHeavy chain allotypesGm (=30)No Al, A2m (2)NoneNoneNoneMolecular mass, kDa150160, 400950, 1150175190Sedimentation constant, Sw206.6S7S, 1 IS19S7S8SCarbohydrate content, %3710913Serum level in average adult, mg/mL9.5-12.51.5-2.60.7-1.70.040.0003Percentage of total serum Ig75-857-155-100.30.019Serum half-life, days236532.5Synthesis rate, mg/kg per day336570.40.016Antibody valency22, 410, 1222Classical complement activation+ (Gl, 2?, 3)----Alternate complement activation+(G4)+-+-Binding cells via FcMacrophages neutrophils, large granular lymphocytesLymphocytesLymphocytesNoneMast cells, basophils, B cellsBiologic propertiesPlacental transfer, secondary Ab for most antipathogen responsesSecretory immunoglobulinPrimary Ab responsesMarker for mature B- cellsAllergy, antiparasite responses